Most common variety of nasopharyngeal malignancy:
1. Squamous cell cancer
2. Lymphoma
3. Adenocarcinoma
4. Mixed variety

Correct answer: 1. Squamous cell cancer

Explanation: Ans: a (Squamous cell cancer) Ref: Dhittgra, 3rd ed, p. 302; 4th ed, p. 238Most common variety of Ca nasopharynx is squamous cell cancer in various grades of its differentiation or its variants as transitional cell carcinoma and lymphoepithelioma.Histological types in decreasing order of frequency:* Squamous cell cancer (85%)* Lymphoma (10%)* Rhabdomyosarcoma (5%)